Cell wall can be demonstrated by :
1. Microdissection
2. Electron microscopy
3. Differential staining
4. All of the above

Correct answer: 4. All of the above

Explanation: The cell walls can be demonstrated by: (1) Differential staining procedure (2) Electron microscopy (3) Plasmolysis (4) Microdissection (5) Mechanical rupture of the cell (6) Serological test by exposure to specific antibodies.